Treatment of CMV retinitis in AIDS patient is -
1. Amantadine
2. Fludrabine
3. Oseltamivir
4. Valganciclovir

Correct answer: 4. Valganciclovir

Explanation: Ans. is 'd' i.e. Valganciclovir o CMV retinitis is the most common ophthalmic manifestation of CMV, occuring as a congenital infection in infants or an opportunistic infection in the immunocompromised hosto Adults commonly affected include those individuals with acquired immunodeficiency syndrome (AIDS), oncology patients, and patients on immunosuppresive therapy. There is characteristic hemorrhagic, full thickness retinitis. In early stage there are yellow-white exudates (areas of retinal necrosis) associated with areas of vasculitis and retinal hemorrhage. There may be exudative retinal detachment and ultimately, there occurs total retinal atrophyo Treatment of CMV retinitis -# HAART.# Valganciclovir- pro-drug of ganciclovir that is taken orally and is as effective for both induction (900 mg twice daily for up to 3 weeks) and maintenance (900 mg daily). Neutropenia is a common side effect due to bone marrow suppression, but can be effectively treated with filgrastim (granulocyte colony-stimulating factor.# Ganciclovir, foscamet and cidofovir given intravenously were formerly key therapeutic agents.# Ganciclovir slow-release intravitreal implant.